ASD is associated with all of the following features, except:
1. Right atrial hypertrophy
2. Pulmonary arterial hypertension
3. Left atrial hypertrophy
4. Right ventricular hypertrophy

Correct answer: 3. Left atrial hypertrophy

Explanation: Left atrial hypertrophy or dilatation is not seen in ASD, instead it is seen in Mitral stenosis. In ASD, left atrium has two outflow tracts. One into L.V through mitral valve and the other into R.A through ASD. These two outflow tracts cause resistance against which the L.A pump is decreased, thus explaining absence of LA hypertrophy. Ref: Textbook of Cardiovascular Medicine, Pages 356-357 ; ECG Interpretation By D.C Randall, Page 39 ; Harrison's Internal Medicine, 18th Edition, Pages 1921-22